A 2 month old infant presented with generalized muscle weakness with a "floppy infant" appearance. He also has other features like macroglossia, feeding difficulty, hepatomegaly and hypertrophic cardiomyopathy. What is the diagnosis?
1. Type I GSD
2. Type II GSD
3. Type III GSD
4. Type IV GSD

Correct answer: 2. Type II GSD

Explanation: Ans. B. Type II GSD (Pompe's Disease)Identifying features* Affected infants present in the 1st few months of life with hypotonia, a generalized muscle weakness with a "floppy infant" appearance,* Neuropathic bulbar weakness, feeding difficulties, macroglossia,* Hepatomegaly* A hypertrophic cardiomyopathy followed by death from cardiorespiratory failure or respiratory infection usually by 1 yr of age